Xanthoproteic reaction involves-
1. Carbolic acid
2. H2SO4
3. HCL
4. Nitric acid

Correct answer: 4. Nitric acid

Explanation: Xanthoproteic reaction is method for determination of amount of protein soluble in solution, using concentrated nitric acid.